Damage to Nervous Tissue is repaired by:
1. Astrocytes
2. Fibroblasts
3. Axons
4. Microglia

Correct answer: 1. Astrocytes

Explanation: Astrocytes